The flap not used to reconstruct Breast is
1. Transverse rectus abdominis myocutaneous flap
2. Latissimus dorsi myocutaneous flap
3. Pectoralis major myocutoneous flap
4. Transversus rectus abdominis free flap

Correct answer: 3. Pectoralis major myocutoneous flap

Explanation: Ans. (c) Pectoralis major myocutaneous flap(Ref: Bailey 26th /e p. 816, Sabiston 20th edition 867)Flaps used to reconstruct Breast:* Transverse rectum abdominis flap (Pedicled or Free flaps)* Latissimus Dorsi flap* Gluteal flap* Ruben's flap* Thoraco epigastric flap* Lateral thigh flap